In a case controlled study. It is found that the disease is more common in the group taking coffee as compared to the control group. The significance of this is -
1. Cause and effect relationship established
2. Disease median can be calculated
3. Caffeine is associated with occurrence of disease
4. Controls will not get the disease

Correct answer: 3. Caffeine is associated with occurrence of disease

Explanation: Ans. is 'c' i.e., Caffeine is associated with occurrence of disease Case-control study does not establish the cause and effect relationship because it can not distinguish between cause and associated factors. o Case-control study can only tell the association between cause and effect.